Most specific test for myasthenia gravis
1. Antibodies to Ach receptors
2. Electrophysiological studies
3. Tensilon test
4. All of the above

Correct answer: 1. Antibodies to Ach receptors

Explanation: Autoimmune mediated neuromuscular disease is an example of type II hypersensitivity reaction.
Before 40 years of age, it is most commonly seen in women, but it occurs equally in both sexes in older patients.
Distinct finding: ↓ Ach receptors (in muscles) and circulating antibodies to Ach receptors.
Most specific test: Antibodies to Ach receptors.
Electrophysiological studies: ↓ in motor response on repeated stimulation.
Nerve conduction studies: Normal.
Treatment is done with drugs (neostigmine with atropine) and thymectomy.